Action of the sartorius muscles includes all except-
1. Flexion of thigh
2. Flexion of leg
3. Extension of leg
4. Lateral rotator of thigh

Correct answer: 3. Extension of leg

Explanation: Sartorius action
-        Flexion at hip
-        Abduction at hip
-        Lateral rotation at hip
-        Flexion at knee